Incidence of a disease in a population of 30,000 and 300 new cases is?
1. 0.1 per 1000
2. 10 per 1000
3. 100 per 1000
4. 1 per 1000

Correct answer: 2. 10 per 1000

Explanation: ANSWER: (B) 10 per 1000REF: Park 20th edition page 57Incidence =number of cases of a specific disease during a given period of time Population at risk during that periodx l000In our questionIncidence = 300/30000 x 1000= 10 per thousand